Major flexor of hip joint -
1. Psoas major
2. Gluteusmaximus
3. TFL
4. Hamstring

Correct answer: 1. Psoas major

Explanation: Ans. is 'a' i.e.. Psoas major Muscles producing movements at the hip jointMovementChief musclesAccessory muscles1. FlexionPsoas major and illiacusPectineus, rectus femoris, and sartorius; adductors (mainly adductor longus) participate in early stages2 ExtensionGluteus maximus and hamstrings--3, AdductionAdductor longus, brevis and magnusPectineus and gracilis4. AbductionGlutei medius and minimusTensor fasciae latae and sartorius5. Medial rotationTensor fasciae latae and the anterior fibres of the glutei medius and minimus 6. Lateral rotationTwo obturators, two gemelli and the quadratus femorisPiriformis, gluteus maximus and sartorius